The two nitrogen atoms that are incorporated into the urea cycle. The source of the nitrogen is
1. Glutamate & Aspartate
2. Aspartate & Arginine
3. Aspartate & NH3
4. Glutamate & NH3

Correct answer: 3. Aspartate & NH3

Explanation: Two nitrogen atoms of urea are derived from two different sources, one from ammonia and the other directly from alpha amino group of aspartic acid.Ref: DM Vasudevan - Textbook of Biochemistry, 6th edition, page no: 203